Bajaj committee proposed:
1. MPHW
2. Rural health service
3. Integrated health service
4. Manpower and planning

Correct answer: 4. Manpower and planning

Explanation: Manpower and planning